A patient of total parenteral nutrition develops delayed wound healing, loss of taste, deficient immunity and diarrhea. It could be due to deficiency of:
1. Selenium
2. Copper
3. Zinc
4. Iron

Correct answer: 3. Zinc

Explanation: Zinc, a trace mineral, plays a fundamental role in the overall success of many body functions and zinc deficiency can negatively affect wound healing. Plays a rolein cell division, cell growth, wound healing, and the breakdown of carbohydrates. Zincis also needed for the senses of smell and taste